Anterior cardiac veins open into:
1. Right atrium
2. Great cardiac vein
3. Coronary sinus
4. Marginal vein

Correct answer: 1. Right atrium

Explanation: Right atrium